Coronaryblood flow is increased by all of the following except
1. Beta adrenergic blockade
2. A decrease in arterial po2
3. An increase in arterial pCO2
4. Vagal stimulation

Correct answer: 1. Beta adrenergic blockade

Explanation: Beta adrenergic receptors causes karana vasodilation to increase CBF Blockage of these receptors causes decrease in the CBF Ref: page no 366 Textbook of physiology Volume 1 AK Jain 7th edition